Synergistic muscle for right medial rectus is ?
1. Right lateral rectus
2. Left lateral rectus
3. Right superior rectus
4. Right superior oblique

Correct answer: 3. Right superior rectus

Explanation: Ans. is 'c' i.e., Right superior rectus To know this question one should know the difference between synergistic muscles and yoke muscles. Synergists. It refers to the muscles having the same primary action in the same eye e.g.,superior rectus and inferior oblique of the same eye act as synergistic elevators.